Bartholin gland is related to vagina
1. Lateral wall
2. Posterior wall
3. Anterior wall
4. Superior wall

Correct answer: 1. Lateral wall

Explanation: The Bartholin's glands are two pea-sized compound racemose gland located slightly posterior and to the left and right of the opening of the vagina. They secrete mucus to lubricate the vagina and are homologous to bulbourethral gland in males. ref - BDC 6e vol2 pg394